Familial polyposis coli is associated with following genetic defect?
1. MLH1
2. MSH2
3. APC
4. RET

Correct answer: 3. APC

Explanation: Ans is ;c' i.e., APC * Familial adenomatous polyposis (FAP) syndrome (familial polyposis coli) is caused by mutation in adenomatous polyposis coli gene(APC) located on long arm of chromosome 5 (5q21). Risk of malignancy is 100%, i.e. all patients develop colorectal carcinoma if left untreated.